In an ideal occlusion buccal cusps of maxillary teeth, occlude with:
1. Fossa and ridges
2. Grooves and embrasures
3. Lingual cusps of mandibular teeth
4. Occlusal pits and fissures of mandibular teeth

Correct answer: 2. Grooves and embrasures